All are usuful in acute appendicitis excpet -
1. Antibiotics
2. Analgesics
3. IV Fluids
4. Purgation

Correct answer: 4. Purgation

Explanation: Ans. is 'd' i.e., Purgation